Struma ovarii is composed of
1. Mature thyroid tissue
2. Immature thyroid tissue
3. Primary ovarian Carcionoid tissue
4. None

Correct answer: 1. Mature thyroid tissue

Explanation: It is a special teratoma which is always unilateral and is composed of mature thyroid tissue